A mother reported to clinic with her 40 days old child. There is a small ulcer on the tongue which is tender with erupted teeth In mandibular anterior alveolus. What will be your treatment plan:
1. Remove teeth under LA
2. Take IOPA if it is primary tooth then save it and do coronoplasty
3. Advise mother that it is primary tooth and roots will develop later and no treatment of requires
4. Apply LA gel on tongue and counsel the mother that no treatment is required.

Correct answer: 2. Take IOPA if it is primary tooth then save it and do coronoplasty